Superimposition in cephalometric studies is done from registration point and it demonstrates growth of structures:
1. Farthest from the point
2. Nearest from the point
3. At the point
4. Both 1 and 3

Correct answer: 1. Farthest from the point